which is the strongest layer of oesophagus?
1. mucosa
2. sub mucosa
3. muscularis propria
4. adventitia

Correct answer: 2. sub mucosa

Explanation: sub mucousa is strongest layer of oesophagus and should be included in sutures